Which of the following is the best parameter for assessment of body iron stores?
1. Serum iron
2. Serum TIBC
3. Serum ferritin
4. Serum transferrin

Correct answer: 3. Serum ferritin

Explanation: Iron in the body is stored in the form of ferritin at highest levels in macrophages of liver, spleen, bone marrow. It is best measured by serum ferritin levels Partially degraded protein shells of ferritin aggregate into hemosiderin granules. With normal iron stores, only trace amounts of hemosiderin is found in the body, most being stored as ferritin. In iron-overloaded cells, most iron is stored in form of hemosiderin.